All of the following hormones have receptors on the cell surface, EXCEPT:
1. Adrenalin
2. Growth Hormone
3. Insulin
4. Thyroxine

Correct answer: 4. Thyroxine

Explanation: Hormones act on their specific receptors located on or within their target cells. Receptor activation by hormones is translated into response in a variety of ways. Thyroxine hormone has its receptor within the nucleus. This hormone penetrates the nucleus -> combines with its receptor --> alter DNA-RNA mediated protein synthesis. Ref: Essentials of Medical Pharmacology, 5th Edition, Page 214